Relaxation of mesangial cells is responsible for
1. Absorption of glucose
2. Maintenance of blood flow
3. Osmotic gradient in medulla
4. Secretion of uric acid

Correct answer: 2. Maintenance of blood flow

Explanation: Mesangial cells are specialized cells around blood vessels in the kidneys, at the mesangium. They are specialized smooth muscle cells that function to regulate blood flow through the capillaries,Ref: Ganong's review of medical physiology; 24th edition; page no: 673